Kveim test is used for-
1. Tuberculosis
2. Systemic lupus erythematosis tissue
3. Sarcoidosis
4. Cystic fibrosis

Correct answer: 3. Sarcoidosis

Explanation: The Kveim test, Nickerson-Kveim or Kveim-Siltzbach test is a skin test used to detect sarcoidosis, where part of a spleen or lymphnode from a patient with known sarcoidosis is injected into the skin of a patient suspected to have the disease. If non caseating granulomas are found (4-6 weeks later), the test is positive . Ref - pubmed.com